Cutis anserina is a postmortem finding seen in :
1. Drowning
2. Suffocation
3. Lust murder
4. Electrocution

Correct answer: 1. Drowning

Explanation: Cutis anserina and postmortem lividity are two postmortem skin findings of drowning. Cutis anserina or goose skin appearance occur due to rigor mortis of erector pilorum muscles of hair follicles in the skin and subcutaneous tissues. Postmortem lividity: It refers to the lividity which is seen in the dependent parts of the body. This depends upon the position in which body was floating. Common hand findings in drowning are cadaveric spasm and washerwoman's hands. Washerwoman's hands is a specific change that is seen in the skin of the palm, which comprises of wrinkled, swollen and whitish sodden appearance. In cadaveric spasm the hands of the dead body will be clenched and on opening it may show water, plants, seaweeds etc. If a dead body removed from water presents with cadaveric spasm it is a finding in or of antemortem drowning. Ref: Textbook of Forensic Medicine and Toxicology By Jaypee Brothers, page 174.